How many bacilli should be there in the tissue for slit skin smear to be positive for Hansen's disease?
1. 10 baccili / gram of tissue
2. 102 baccili / gram of tissue
3. 103 baccili i gram of tissue
4. 104 baccili / gram of tissue

Correct answer: 4. 104 baccili / gram of tissue

Explanation: Ref: Rook s Textbook of DermatologyExplanation:At least 1114 bacilli should be present per gram tissue for 1+ bacteriological index in slit skin smear,Maximum number of bacilli in a highly bacillated lepromatous leprosy patient is 1012.Average density of bacilli in lepromatous leprosy is 2.5 billion per 1 cm3 tissue.